Jansen disease is
1. Defect of PTH receptor
2. Defect of GH receptor
3. Defect of ADH receptor
4. Defect of Thyroid receptor

Correct answer: 1. Defect of PTH receptor